Curvilinear trabeculae mimicking Chinese character pattern are seen in
1. Fibrous Dysplasia
2. Fibrous cortical defect
3. Non-ossifying Fibroma
4. Ossifying Fibroma

Correct answer: 1. Fibrous Dysplasia

Explanation: Lesions of fibrous dysplasia are well circumscribed, intramedullary and greatly vary in size. The lesional tissue is tan-white and gritty and is composed of curvilinear trabeculae of woven bone surrounded by a moderately cellular fibroblastic proliferation. The Curvilinear shapes of trabeculae mimic Chinese characters, and the bone lacks prominent osteoblastic rimming.Reference: Robbins and Cotran Pathologic Basis of Disease; 9th edition; Volume II; Bones, Joints and Soft Tissue Tumors; Page no: 1206